Purulent inflammation and infection of terminal pulp space of distal phalanges is known as:
1. Acute paronychium
2. Whitlow
3. Acute suppurative tenosynovitis
4. Apical subungual infection

Correct answer: 2. Whitlow

Explanation: Ans. B: Whitlow Whitlow/Felons are closed-space infections of the fingertip pulp. This is the commonest hand infection . Fingertip pulp is divided into numerous small compartments by vertical septa that stabilize the pad. Infection occurring within these compartments can lead to abscess formation, edema, and rapid development of increased pressure in a closed space. This increased pressure may compromise blood flow and lead to necrosis of the skin and pulp.There is little room for swelling, so that infection causes a throbbing pain early. Staphylococcus aureus is the most common cause Complications Osteomyelitis involving the diaphysis of distal phalanx is a common complication. The most serious complication is acute tenosynovitis, which may result from contiguous spread of infection. Other complications include skin necrosis, deformity of the fingertip, septic arthritis, and instability of the finger pad. It is managed by incision & drainage.